Carpometacarpal joint of thumb is
1. Saddle
2. Hinge
3. Ball and socket
4. Pivot

Correct answer: 1. Saddle

Explanation: First carpometacarpal joint is only carpometacarpal joint which has separate joint cavity. Articular surfaces are distal surface of trapezium and proximal surface of the base of the first metacarpal bone. B D Chaurasia 7th edition Page no: 161,162